In which of the following conditions of malabsorption, an intestinal biopsy is diagnostic -
1. Celiac disease
2. Tropical sprue
3. Whipple's disease
4. Lactose intolerance

Correct answer: 3. Whipple's disease